Bitemporal hemianopia is characteristic of -
1. Glaucoma
2. Optic neuritis
3. Pituitary tumor
4. Retinal detachment

Correct answer: 3. Pituitary tumor

Explanation: Ans. is 'c' i.e., Pituitary tumor o Characteristic visual field defect of central chiasmatic lesion is bitemporal hemianopia. Pituitary tumor causes central chiasmatic lesion.o Bitemporal hemianopia results due to central (sagittal) lesion of the optic chiasma. common causes of which are tumors of the pituitary gland (most common), craniopharyngioma, suprasellar meningioma, glioma of third ventricle, chiasmal arachnoiditis, and third ventricular dilatation.Site of lesionVisual field defectOptic nerveOptic chiasmaOptic tractLateral geniculate bodyOptic radiation (Total)Optic radiation lower fibres (temporal lobe)Optic radiation upper fibres (parietal lobe)Visual cortex (anterior occipital cortex)Occipital cortex tipBlindnessBitemporal hemianopiaIncongruent homonymous hemianopiaHomonymous hemianopiaHomonymous hemianopia, sometimes with macular sparingHomonymous upper quadrantanopiaHomonymous lower quadrantanopiaHomonymous hemianopia with macular sparingHomonymous macular defect